IPC 314 deals with -
1. Causing miscarriage with consent
2. Death of patient caused by miscarriage
3. Death of child during miscarriage
4. Abandoning the child

Correct answer: 2. Death of patient caused by miscarriage

Explanation: Sec 314 IPC deals with whoever, with intent to cause the miscarriage of a woman with child, does any act which causes the death of such woman, shall be punished with imprisonment of either description for a term which may extend to ten years, and shall also be liable to fine; If act done without woman's consent.--And if the act is done without the consent of the woman, shall be punished either with imprisonment for life, or with the punishment above mentioned. Ref: IPC sections, Indian Kanoon. org.